In replantation surgery all the following types of injuries have the best outlook regarding survival and return of function except
1. Clean sharp guillotine amputations
2. Minimal local crush amputations
3. Avulsion amputation with minimal proximal distal vascular injury
4. Crush injuries with avulsed vessels

Correct answer: 4. Crush injuries with avulsed vessels

Explanation: In Clean sharp guillotine amputations, Minimal local crush amputations, Avulsion amputation with minimal proximal distal vascular injury have the best outlook regarding survival and return of function after replantation. Crushed and avulsed vessels require debridement and the use of interpositional vein grafts and the outlook is less certain.